Solitary hypoechoic lesion of the liver without septae or debris is most likely to be:
1. Hydatid cyst
2. Caroli's disease
3. Liver abscess
4. Simple cyst

Correct answer: 4. Simple cyst

Explanation: Ans. Simple cyst